All of the following are associated with hypergonadotrophic hypogonadism in males, EXCEPT:
1. Viral orchitis
2. Klinefelter's syndrome
3. Kallman's syndrome
4. Noonan syndrome

Correct answer: 3. Kallman's syndrome

Explanation: Kallman's syndrome is associated with hypogonadotropic hypogonadism resulting in decreased or absent GnRHsecretion. This syndrome is characterized clinically by anosmia, hypogonadism and other midline defects (cleft lip/palate, colour blindness, seizures, anosmia etc). This syndrome is due to impaired migration of GnRH releasing neurons to hypothalamus during the embryonic period. Ref: Cancer and Sexual Health By John P. Mulhall page 197; Organic psychiatry: the psychological consequences of cerebral disorder By William Alwyn Lishman page 526; Manual of Endocrinology and Metabolism By Norman Lavin page 292; The immunoassay handbook By David Wild page 567